Vasopressin acts through which channels in collecting duct?
1. Aquaporin 1
2. Aquaporin 2
3. GLUT-1
4. GLUT-4

Correct answer: 2. Aquaporin 2

Explanation: Ans. B. Aquaporin 2a. Principal cells of collecting duct contain a regulated system of water channels antidiuretic hormone (ADH, also called arginine vasopressin, AVP).b. ADH controls permeability of these cells to water by regulating insertion of pre-formed water channels (aquaporin-2, AQP2) into apical membrane.